Phelp's sign is seen in:
1. Glomus jugulare
2. Vestibular Schawannoma
3. Maniere's disease
4. Neurofibromatosis

Correct answer: 1. Glomus jugulare

Explanation: Phelp's sign Phelp sign This sign is seen on CT scan In CT- in case of glomus jugulare tumor the normal crest between the carotid canal and jugulare tumor is absent whereas it is not so in case of glomus tympanicum